Left sided lateral gaze is affected in lesion of-
1. Right frontal lobe
2. Right occipital lobe
3. Left occipital lobe
4. Left frontal lobe

Correct answer: 1. Right frontal lobe

Explanation: Voluntary horizontal gaze in one direction begins with the contralateral frontal eye field.
If horizontal gaze is affected, the damage may be:-

Cortical center: - Contralateral frontal eye field.
Brainstem center: - Pons (Pontine paramedian reticular) formation.
Cranial nerve nucleus: - Abducens (6th nerve) nucleus.